A head injured patient, who opens eyes to painful stimulus, is confused and localizes to pain. What is the Glassgow coma score :
1. 7
2. 9
3. 11
4. 13

Correct answer: 3. 11

Explanation: Answer is C (11): A head injury patient who opens eyes to painfid stimulus (2), is confused (4) and localizes pain (5) has a GCS `Glasgow coma scale' score of 11.